True about streptococcus pyogenes are all except -
1. Causes only localized infection
2. Rheumatic fever is non-supporative complications
3. Erythrogenic toxin causes scarlet fever
4. Glomerulonephritis is due to antigenic crossreactivity

Correct answer: 1. Causes only localized infection

Explanation: Ans. is 6a' i.e., Causes only localized infectiono Streptococcal diseases can be braodly classified into three groups1) Suppurative infections# These are otitis media, sore throat, mastoiditis, pneumonia, abscesses, erysipelas, impetigo (non-bullous impetigo or impetigo contagiosum), cellulitis, necrotizing fascitis, puerperal sepsis and bacteremia.o Sore throat is the most common streptococcal disease.# The M protein types of a S. pyogenes most commonly associated with skin infection (impetigo) are different from those causing resporatory infection (Pharyngitis).2) Toxin mediated# These are scarlet fever and toxic shock syndrome.# Scarlet fever is caused by erythrogenic toxin.# Toxic shock syndrome (TST) is due to pyrogenic exotoxin A (erythrogenic toxin) produced by strains M type-1 and -3 of strep, pyogenes. These strains are also called as 'Flesh eating bacteria.'3) Non-suppurative complications (immune mediated)# These are rheumatic fever and glomerulonephritis.# Rheumatic fever follows streptococcal throat infection (hut not skin infection), whereas glomerulonephritis can occur after throat or skin infections.# These non-supporative complications are due to antigenic cross-reactivity of streptococcal antigenic component with human tissues. This antigen cross reactivity is resoponsible for the production of cross reacting antibodies, i.e. antibodies are formed against streptococcal antigens but they damage host tissue antigens because of similarity between streptococcal antigens and human tissue antigens - antigenic cross reactivity.